On prescription of oral pills to the user, the health worker will ask about the following except
1. Number of live children
2. Calf tenderness
3. Headache
4. Swelling of the feet

Correct answer: 1. Number of live children

Explanation: Women taking oral contraceptives should be advised annual medical examinations Severe pain in calves or thighs, Severe chest pain, Severe headache, Amenorrhoea, Mass in breast and swollen legs should be checked by history and examinations Reference : Park's textbook of preventive and social medicine, 23rd edition, pg no:503